A simple bacterial test for mutagenic carcinogens is -a)  Ames testb)  Redox testc)  Bacteriophaged)  Gene splicing
1. ab
2. a
3. ad
4. bc

Correct answer: 2. a

Explanation: 'Ames test is a simple test developed by Bruce Ames that measures the potential of a given chemical compound to promote mutations in a specialized bacterial strain (mutagenic carcinogenesis)'- Lehninger 4th/e p. 967